Type I gypsum product is also called
1. Impression plaster
2. Class I stone / Hydrocal
3. Class II stone/Densite
4. Model plaster

Correct answer: 1. Impression plaster